Which of the following proteins binds with free hemoglobin in the plasma -
1. Albumin
2. Haptoglobin
3. Pre-albumin
4. Ceruloplasmin

Correct answer: 2. Haptoglobin